Following are features of Mayer Rokitansky kuster Hauser syndrome except
1. Renal agenesis
2. Menorrhagia
3. Hemivertebrae
4. Normal breasts

Correct answer: 2. Menorrhagia

Explanation: MRKH syndrome is characterized by primary amenorrhea.